The latest drug of the choice in the management in trigeminal neuralgia is:
1. Valproic acid
2. Carbamazepine
3. Dipnen hydantoin
4. None of the above

Correct answer: 2. Carbamazepine